Staphylococci typically occur in:
1. Pairs
2. Chains
3. Tetrads
4. Irregular clusters

Correct answer: 4. Irregular clusters